Target group forpulse polio immunization-
1. > 3 years
2. < 5 years
3. < 10 years
4. < 15 years

Correct answer: 2. < 5 years

Explanation: Goverment of India conducted the first round of PPI consisting of two immunization days 6 weeks apart on 9th Dec 1995 and 20th Jan 1996.
The first PPI conducted targeted all children under 3 years of age. o Later on, as recommended by WHO, it was decided to increase the age group from decided to increase the age group from under 3 to under 5 years →So, now PPI targets children under 5 years of age.
The term pulse has been used to describe this sudden, simultaneous, mass administraon of OPV on a single day to all children 0-5 years of age, regardless to previous immunizaon status, a PPIs occur as two rounds about 4 to 6 weeks apart during low transmission season of polio, i.e. between November to february (In India, peak transmission is from june to September),
The dose of OPV during PPIs are extra doses w rhich supplement, and do not replace the doses received during routine immunization schedule.
Intensive pulse polio immunization (IPPI) is the intensification of PPI by adding additional rounds at fixed booths followed by 'house -to- house search-and-vaccinate ’ component.